Bone resorption is enhanced by:
1. PGD2
2. PGF2
3. PGE2
4. PGI2

Correct answer: 3. PGE2